Total gastrectomy is preferred for which type of gastric cancers
1. Proximal Cancer
2. Distal Cancer
3. Ulcerating cancer in the body
4. Polypoidal cancer in the antrum

Correct answer: 1. Proximal Cancer

Explanation: Answer- A. Proximal CancerFor proximal gastric carcinomaFor extensive tumors (eg. Linitis plastica)To obtain negative margins for distal gastric carcinoma